All are true of Reduced osmolarity ORS except?
1. Sodium 75 mmol/litre
2. Potassium 20 mmol/litre
3. Chloride 45 mmol/litre
4. Osmolarity 245 mmol/litre

Correct answer: 3. Chloride 45 mmol/litre

Explanation: Ans. is 'c' i.e., Chloride 45 mmol/litre Because of the improved effectiveness of reduced osmolarity ORS solution, WHO and UNICEF are recommending that countries manufacture and use the following formulation in place of the previously recommended ORS solution.